A 36 years old factory worker developed itchy annular scaly plaques in both groins. Application of a carticosteroid ointment led to temporary relief but the plaques continued to extend at the periphery. The most likely diagnosis is:
1. Erythema annulare centrifugam
2. Granuloma annulare
3. Annular lichen planus
4. Tenia cruris

Correct answer: 4. Tenia cruris

Explanation: D ie Tinea cruris